Features to differentiate parathyroid adenoma from hyperplasia would include which of the following?
1. Presence of excess chief cells
2. High levels of parathormone
3. Infiltration of capsule
4. Identifying hyperplasia of all 4 glands at surgery in parathyroid hyperplasia

Correct answer: 4. Identifying hyperplasia of all 4 glands at surgery in parathyroid hyperplasia

Explanation: Parathyroid adenoma can be differentiated from hyperplasia only at the time of surgery In case of adenoma, only one gland is found to be enlarged, the other three are normal. In hyperplasia, all four glands are enlarged.